Northern blot is used for the separation of -
1. mRNA
2. DNA
3. Protein
4. Protein DNA interaction

Correct answer: 1. mRNA